Ca oesophagus is characterized by following except?
1. Adenocarcinoma
2. Middle 1/3 affected
3. Dysphagia is characteristic
4. Pernicious anemia often present

Correct answer: 4. Pernicious anemia often present

Explanation: Answer is 'd' i.e. Pernicious anemia often present